A 20-year-old hypertension patient has been diagnosed as a case of pheochromocytoma with positive biochemical evidence. What is the next step in work up of this patient?
1. MRI Abdomen
2. Perform urinary VMA levels
3. Perform adrenal vein sampling
4. MIBG scintigraphy

Correct answer: 1. MRI Abdomen

Explanation: Option A: 1st imaging of the Abdomen should be done in pheochromocyte in patient to locate whether it is adrenal or extra adrenal pheochromocytoma. If site of Tumor is not located means tumor is less than 1 cm, then MIBG scintigraphy should be done in patient. Screening Test= 24 hr.Urinary fractionated metanephrine levels. IOC: Plasma metanephrine level Imaging - MRI Abdomen If size <1cm Tumor 1. MIBG scan= for Adrenal Pheochromocytoma (Metaiodobenzyl guanidine scan) 2. PET DOPA= For Extra Adernal Pheochromocytoma.